All of the following are general properties of Viruses except -
1. May contain both DNA and RNA
2. Form extracellular infectious particles
3. Heat labile
4. Not affected by antibiotics

Correct answer: 1. May contain both DNA and RNA

Explanation: Properties of viruses 

Viruses are obligate intracellular parasites
They lack enzymes necessary for protein and nucleic acid synthesis and are dependent for replication on the synthetic machinery of host cells → so, they cannot grow in cell-free culture media.
They do not have a cellular organization.
They are unaffected by antibacterial antibiotics.
They contain only one type of nucleic acid, either RNA or DNA, never both.
They multiply by a complex process and not by binary fission.
The extracellular infectious virus particle is called the virion.
With few exceptions, viruses are very heat labile.